Earliest radiological change in RA -
1. Decreased joint space
2. Articular erosion
3. Periarticular osteopenia
4. Subchondral cyst

Correct answer: 3. Periarticular osteopenia

Explanation: "The radiographic findings in early RA are normal or soft tissue swelling and periarticular osteopenia". ___ Mayo clinic